By testing the movement of the lids, which of the cranial nerves are tested clinically?
1. III
2. VI
3. VII
4. A + C of the above

Correct answer: 4. A + C of the above

Explanation: Nerve supply of lids: Motor nerves are facial, (which supplies orbicularis oculi), oculomotor (which supplies LPS muscle) and sympathetic fibres (which supply the Muller's muscles). Sensory supply is derived from branches of the trigeminal nerve. Ref: Comprehensive Ophthalmology by A K Khurana, 4th edition, Page 342.